The following are given intradermally EXCEPT:
1. Test dose of drugs
2. Insulin
3. BCG vaccine
4. Mantoux test

Correct answer: 2. Insulin

Explanation: Insulin is given subcutaneously-so that the absorption is slow avoiding sudden hypoglycemia absorption is slow as fat is having less blood supply MMR vaccine, heparin, morphine are also given subcutaneously-into the fat layer of skin Pg.no.8 KD Tripathi Seventh edition